Period of infectivity for chickenpox is:
1. 5 days prior to appearance of rash till 4 days afterwards
2. 4 days prior to appearance of rash till 5 days afterwards
3. 4 days prior to appearance of rash till 1 day afterwards
4. 1 day prior to appearance of rash till 4 days afterwards

Correct answer: 4. 1 day prior to appearance of rash till 4 days afterwards

Explanation: Chicken Pox Caused by HHV-3 Incubation period : 14-16 days Source of infection : Case Mode of transmission : Respiratory/ air droplets Period of communicability of Chicken pox: 1-2 days before appearance & 5 days after appearance of rash. Rash: Superficial, unilocular, Centripetal, pleomorphic rash, due drop on rose petal appearance affecting flexor aspects and axilla. Secondary attack rate : 90% Vaccine : Live attenuated vaccine : OKA strain Late complication : Shingles by recrudescence.